Type B gastritis is
1. Body predominant
2. H. pylori associated
3. Autoimmune gastritis
4. Environmental gastritis

Correct answer: 2. H. pylori associated

Explanation: Type B gastritis mainly involves the region of antral mucosa (hence antral predominant not body predominant.) and is more common. It is also called hypersecretory gastritis due to excessive secretion of acid, commonly due to infection with H. pylori. These patients may have associated peptic ulcer. Unlike Type A gastritis, this form of gastritis has no autoimmune basis nor has an association with other autoimmune diseases. Type A is body predominant. Type AB gastritis effects the mucosal region of A as well as B types. This is the most common gastritis in all age groups. It is also called environmental gastritis, mixed gastritis, chronic atrophic gastritis. TEXTBOOK OF PATHOLOGY HARSH MOHAN 6TH EDITION PAGE NO:547